A patient in emergency department shows Mc Ewan sign. This sign is positive in the following condition:
1. Cyanide poisoning
2. Alcoholism
3. Lead
4. Arsenic poison

Correct answer: 2. Alcoholism

Explanation: Mc Ewan sign is seen in stage of coma of acute alcohol intoxication. Stage of coma of alcohol intoxication: In this stage, the motor and sensory cells are deeply affected, speech becomes thick and slurring, coordination is markedly affected, causing the patient to become giddy, stagger and possibly to fall. The person passes into a state of coma with stertorous breathing. The pulse is rapid and temperature subnormal. The pupils are contracted, but stimulation of the person, e.g., by pinching or slapping, causes them to dilate with slow return (Mc Ewan Sign). Ref: The Essentials of Forensic Medicine and Toxicology by KS Narayan Reddy, 27th edition, Page 502.